All are hypercoagulable states, except ?
1. Protein C resistance
2. Protein S deficiency
3. Antiphospholipid antibody
4. None

Correct answer: 4. None

Explanation: Ans. is 'None' o All are hypercoagulable states.